Which of the following is agglutination test -
1. Widal test
2. VDRL
3. Ascoli's test
4. Kahn test

Correct answer: 1. Widal test

Explanation: Widal test is a tube agglutination test. Agglutination reaction is when a particulate antigen is mixed with its antibody in the presence of electrolytes at a suitable temperature and pH, the particles are clumped or agglutinated. two antigens, flagellar H antigen a, d somatic O antigen are used in Widal test. Reference : Anathanarayan & paniker's 9th edition, pg no:108,109